Inflammation of the perapical tissue is sustained by which of the following
1. Stagnant tissue fluid
2. Necrotic tissue
3. Microorganisms
4. Pus cells

Correct answer: 3. Microorganisms